Ophthalmia nodosa occurs due to:
1. Leprotic conjunctivitis
2. Syphilitic conjunctivitis
3. Sarcoidosis conjunctivitis
4. Irritation by hair of caterpillar

Correct answer: 4. Irritation by hair of caterpillar

Explanation: Ans. Irritation by hair of caterpillar